In patient of head injury with rapidly increasing intracranial tension without haematoma, the drug of choice for initial management would be-
1. Lasix
2. Steroids
3. 20 % Mannitol
4. Glycine

Correct answer: 3. 20 % Mannitol